Tracheostomy is not indicated in
1. Emphysema
2. Bronchiectasis
3. Atelectasis
4. Pneumothorax

Correct answer: 4. Pneumothorax

Explanation: Friends, it is quite obvious that pneumothorax can be a complication of tracheostomy (if not performed properly) rather than an indication.